Specific type of cells found in infectious mononucleosis:
1. Downey cells.
2. Raquet cells.
3. Arbiskov cells.
4. None of the above.

Correct answer: 1. Downey cells.